B cell ALL is due to which of the following?
1. T cells
2. Immature B cells
3. Immature T cells
4. Both T and B cells

Correct answer: 2. Immature B cells

Explanation: B cell ALL is due to immature B cells.